Tumors most amenable (cured with) to chemotherapy  a) Chorio Ca  b) Embryonal rhabdomyosarcoma  c) Hepatocellular Ca  d) Thyroid Ca
1. ab
2. abc
3. abd
4. ac

Correct answer: 1. ab